De Quervain's disease is:
1. Acute suppurative thyroiditis.
2. Autoimmune thyroiditis.
3. Subacute thyroiditis.
4. None.

Correct answer: 3. Subacute thyroiditis.